Comedo nevus is which type of epidermal nevus -
1. Keratinocytic
2. Verrucous
3. Inflammatory
4. Appendegeal

Correct answer: 4. Appendegeal

Explanation: Ans. is 'd' i.e., Appendegeal Classification of epidermal nevus1) Keratinocytea) Verrucous epidermal nevusb) Inflammatory epidermal nevuso Inflammatory linear verrucous epidermal nevuso Other inflammatory epidermal nevi2) Appendegeala) Sebaceous: Nevus sebaceousb) Follicular: Nevus comedonicusc) Eccrine nevid) Apocrine nevi3) Becker's nevus4) Epidermal nevus syndromes